Wilful exposure of genitalia in public is which sexual perversion
1. Undinism
2. Exhibitionism
3. Voyeurism
4. Troilism

Correct answer: 2. Exhibitionism

Explanation: Exhibitionism This is the wilful exposure of the genitalia in a public place in the presence of others. It may or may not be accompanied by masturbation. This perversion is usually seen in males and ends in masturbation. Exhibitionism is punishable under Section 294IPC as obscene act , with imprisonment up to 3 months and fine. Ref: FORENSIC MEDICINE AND TOXICOLOGY Dr PC IGNATIUS THIRD EDITION PAGE 313